The enzymes that catalyses the same reaction but differ in physical properties are called as:
1. Pro enzyme
2. Iso enzyme
3. Co-enzyme
4. Holoenzyme

Correct answer: 2. Iso enzyme